Arrange the following features produced by shot gun injuries according to the increasing range Satellite pellet holes Cruciate wound Tattooing Blackening
1. 1-3-4-2
2. 2-4-3-1
3. 4-2-1-3
4. 4-2-3-1

Correct answer: 2. 2-4-3-1

Explanation: Cruciate wound - contact shot Blackening/ Smudging/ Fouling - upto 30 cm Tattooing/ Stippling/ Peppering - upto 60 to 90 cm Satellite pellet holes - over two meters